Intrauterine exposure of diethylstilboestrol is associated with -
1. Squamous cell carcinoma of cervix
2. Adenocarcinoma of endometrium
3. Clear cell adenocarcinoma of vagina
4. Sarcoma of uterus

Correct answer: 3. Clear cell adenocarcinoma of vagina